Which of the following has the worst prognosis -
1. Rolandic epilepsy
2. Versive epilepsy
3. Absence epilepsy
4. Infantile spasm

Correct answer: 4. Infantile spasm

Explanation: Ans. is 'd' i.e., Infantile spasm Prognosis for normal mental development is poor.